A radio-opaque mass continuous with the cementoenamel junction attached to the distal surface of the first premolar is:
1. Hyper Keratosis
2. Calculus
3. Food debris
4. Epithelial attachment

Correct answer: 2. Calculus